Recommended observation period prior to orthodontic treatment in minor Periodontal injuries:
1. 3 months
2. 6 months
3. 9 months
4. 12 months

Correct answer: 1. 3 months

Explanation: Recommended observation periods prior to orthodontic treatment